Not a feature of alcohol withdrawal is:
1. Hallucination
2. Tremor
3. Hypersomnolence
4. Autonomic hyperactivity

Correct answer: 3. Hypersomnolence

Explanation: Hypersomnolence